Which of the following is a cerebro selective calcium channel blocker?
1. Nimodipine
2. Ziconotide
3. Verapamil
4. Diltiazem

Correct answer: 1. Nimodipine

Explanation: Ans. (a) NimodipineRef KDT 6/e, p 172